Peripheral iridectomy is must in which of the following?
1. Primary open-angle glaucoma
2. Absolute glaucoma
3. Closed-angle glaucoma
4. Cataract

Correct answer: 3. Closed-angle glaucoma